A 48-yrs-old male alcoholic with bilateral gynecomastia. Which physical findings has cirrhosis has the same pathogenesis as gynecomastia?
1. Caput medusa
2. Asterixis
3. Ascites
4. Spider angioma

Correct answer: 4. Spider angioma

Explanation: Gynecomastia in male cirrhotics is caused by hyperestrinism secondary to the inability of the liver to metabolize estrogens. Hyperestrinism results in the development of female secondary sex characteristics, palmar erythema, spider angioma, and testicular atrophy caused by decreased testosterone.